Electric pulp test for an immature tooth is:
1. Positive
2. Negative
3. False-Positive
4. False-negative

Correct answer: 4. False-negative